A 67 year male smoker presents with haemoptysis and cough. Brochoscopic biopsy revealed undifferented tumour. The immunohistochemical marker that can be most helpful is:
1. Calretinin
2. Vimentin
3. Cytokeratin
4. GGT

Correct answer: 3. Cytokeratin

Explanation: Cytokeratin